Radiologically, increased pulmonary blood flow is indicated by the following except:
1. Descending pulmonary artery diameter> 16 mm
2. Kerley b lines
3. Diameter of peripheral arteries > 2 accompanying bronchiole
4. > 6 blood vessel in outer 1/3''

Correct answer: 2. Kerley b lines

Explanation: Ans. Kerley b lines